Incineration is
1. High temperature oxidation process
2. Low temperature reduction process
3. High temperature reduction process
4. Low temperature oxidation process

Correct answer: 1. High temperature oxidation process